Opioid with monoamine action is?
1. Tramadol
2. Pentazocine
3. Pethidine
4. Meperidine

Correct answer: 1. Tramadol

Explanation: Ans. is 'a' i.e., Tramadol Unlike other opioids, tramadol inhibits reuptake of NA and 5-HT and thus activates monoaminergic spinal inhibition of pain --> action can be abolished by 5-HT3 antagonist (ondansetron).